Air bronchogram in Chest X-ray is found in all except
1. Pleural effusion
2. Consolidation
3. Pulmonary oedema
4. Alveolar cell carcinoma

Correct answer: 1. Pleural effusion

Explanation: An air bronchogram is a tubular outline of an airway made visible by filling of the surrounding alveoli by fluid or inflammatory exudates. Causes of Air Bronchogram a. Pulmonary oedema b. Pneumonic consolidation c. Hyaline membrane disease d. Lymphoma e. Alveolar cell carcinoma f. Sarcoidosis g. ARDS h. Alveolar proteinosis ref - pubmed.com